The region in the crown of a tooth is often mistaken for caries in the intraoral periapical radiograph:
1. CEJ
2. Dentinoenamel junction
3. Pulp Horn
4. Secondary dentin

Correct answer: 1. CEJ